Steroid receptor superfamily is present in:
1. Vitamin D3
2. Insulin
3. Glucagon
4. None of the above

Correct answer: 1. Vitamin D3

Explanation: All steroid, thyroid, Vit.D and retinoids includes in steroid hormone superfamily.